Which continues to grow in the life time:
1. Cornea
2. Iris
3. Lens
4. Retina

Correct answer: 3. Lens

Explanation: c Lens ref parsons 19,h/e p.273 , khurana 3rd /e and 2nd/e p. 183